Which one of the following does NOT present with a large anterior fontanelle?
1. Crouzon syndrome
2. Hypophosphatasia
3. Achondroplasia
4. Congenital rubella syndrome

Correct answer: 1. Crouzon syndrome

Explanation: a. Crouzon syndrome(Ref: Nelson's 20/e p 2817)Crouzon syndrome is a cause of craniosynostosis (premature fusion of sutures), so the fontanelle are small & close early.